A patient was on treatment with penicillin. He developed pallor but there was no shortness of breath, urticaria or wheezing. On investigation, antibodies against penicillin were found in his blood. What is the type of hypersensitivity reaction that most likely occurred in this patient?
1. Type I hypersensitivity
2. Type II hypersensitivity
3. Type III hypersensitivity
4. Type IV hypersensitivity

Correct answer: 2. Type II hypersensitivity

Explanation: Ans. b. Type II hypersensitivity